The hydrolysis of Glucose-6-phosphate is catalyzed by a specific phosphatase which is found only in:
1. Liver, intestines and kidneys
2. Brain, spleen and adrenals
3. Striated muscle
4. Plasma

Correct answer: 1. Liver, intestines and kidneys

Explanation: Ans. A. Liver, intestines and kidneysGlucose-6-phosphatase is present only in liver, kidney and intestines. It catalyses the conversion of Glucose-6-phosphate to Glucose.